Which of the following drugs can be used as a transcranial patch for treatment of parkinsonism?
1. Levodepa
2. Rotigotine
3. Apomorphine
4. Aprantine

Correct answer: 2. Rotigotine

Explanation: Ans 'b' i.e. Rotigotine o Rotigotine is intended to be delivered through transdermal patches, so as to ensure a slow and constant dosage in a 24-hour period.